Decreased glucose level in pleural effusion is found in -a) Rheumatoid arthritisb) SLEc) Pneumococcal infectiond) P.carinii infection
1. a
2. bc
3. ac
4. b

Correct answer: 3. ac